Predisposing factor for carcinoma vulva is all Except
1. Smoking
2. HPV
3. Fibroepithelial polyp
4. Leukoplakia

Correct answer: 3. Fibroepithelial polyp

Explanation: The etiologic role of certain viruses in carcinogenesis, particularly high-risk HPV types 16 and 18, in these sites is well documented. Mention has already been made about the preceding stage of vulval epithelial disorders, particularly squamous hyperplasia, in the development of these lesions. Ref: HARSH MOHAN TEXTBOOK OF PATHOLOGY 6th Ed. Pg no:723